Which of the following is a feature of McCune-Albright syndrome?
1. Delayed puberty
2. Hypoparathyroidism
3. Neurofibromas
4. Cafe-au-lait macules

Correct answer: 4. Cafe-au-lait macules

Explanation: Mc Cune Albright syndrome (polyostotic fibrous dysplasia) is a genetic disease affecting the bones and pigmentation of the skin. Precocious puberty is the hallmark feature in girls. Other common manifestations includes fibrous dysplasia of bones, cafe au lait spots, hyperthyroidism, acromegaly, pituitary adenoma and adrenal hyperplasia.